Action of popliteus is -
1. Locking of knee joi nt
2. Unlocking of knee joint
3. Medial rotation of femur on tibia
4. None

Correct answer: 2. Unlocking of knee joint

Explanation: Ans. is 'b' i.e., Unlocking of knee joint Popliteus* Popliteus is a deep muscle of posterior compartment of leg.* Features of popletius are -Origin# Lateral surface of lateral condyle of femur, origin is intracapsular.# Outer margin of lateral meniscus of knee.Insertion# Posterior surface of shaft of tibia above soleal line.Nerve supply# Tibial nerveAction# Ulocks knee joint by lateral rotation of femur on tibia prior flexion.# Accessory flexor of knee.